A neonate weighing 1.3 kg is born at 32 weeks' gestation and was transferred to the nursery for prematurity. After 1 hr the nurse reports the infant is tachypnoeic with heart rate 150 bpm, respiratory rate 76/min, temperature 95degF and oxygen saturation of 98%. The lungs are clear with bilateral breath sounds and there is no murmur and x-ray chest is normal. Which of the following is the next step in management of the neonate?
1. Administer intravenously 5ml of D50.
2. Obtain a complete blood count and differential
3. Perform a lumbar puncture
4. Place the infant under a warmer

Correct answer: 4. Place the infant under a warmer

Explanation: Clinical description s/o hypothermia in neonate. A room temperature of 24degC provides a cold environment for newborn infants. At birth, infants (especially preterm) are wet, have a relatively large surface area for their weight, and have little subcutaneous fat. Within minutes of delivery, the infants are likely to become pale or blue and their body temperature drops. A preterm infant is likely to have respiratory distress and unable to oxygenate properly, lactate can accumulate and lead to a metabolic acidosis. Infants rarely shiver in response to a need to increase heat production. Therefore, to prevent infant from hypothermia, Place the infant under a warmer. If the tachypnea persists after warming the infant, sepsis, pneumonia, and primarysurfactant deficiency are all possible.